Regarding the use of halothane in obsteric surgery,which is true –
1. There is increased risk of PPH
2. It has no effect on uterine musculature
3. Best used in caesarean section
4. None is true

Correct answer: 1. There is increased risk of PPH

Explanation: As halothane causes uterine relaxation, post-partum hemorrhage can occur.